Commonest presentation of Wilm's Tumor is:
1. Hematuria
2. Abdominallump
3. Hydronephrosis
4. Pain in abdomen

Correct answer: 2. Abdominallump

Explanation: Answer is B (Abdominal lump): Most common presentation of' Wilm's tumor is an asymptomatic Abdominal Mass.